FDA approved locally delivered minocycline for subgingival placement is marketed under trade name
1. periochip
2. atridox
3. arestin
4. elyzol

Correct answer: 3. arestin